The chromosomal karyotype in patau syndrome is
1. 47XX,+21
2. 46XX\/47XX,+18
3. 45XX,der(14;21)
4. 47XX,+13

Correct answer: 4. 47XX,+13

Explanation: TRISOMY 13: PATAU SYNDROME Incidence: 1 in 15,000 births Karyotypes: Trisomy 13 type: 47,XX, +13 Translocation type: 46,XX,+13,der(13;14)(q10;q10) Mosaic type: 46,XX/47,XX, +13 (Robbins Basic Pathology, 9 th edition. page : 238)